Heterophile agglutination test is?
1. Heterophile antibody that reacts with the microorganism or cells of unrelated species due to common antigen sharing.
2. Test is performed in hypertonic saline (5%saline) or albumin saline.
3. Coomb, Mourant and Race devised a reagent: Rabbit anti-human gamma globulin.
4. Helps to detect the blood group and for cross matching.

Correct answer: 1. Heterophile antibody that reacts with the microorganism or cells of unrelated species due to common antigen sharing.

Explanation: Ans. A. Heterophile antibody that reacts with the microorganism or cells of unrelated species due to common antigen sharing.Heterophile antibody: An antibody that reacts with the microorganism or cells of unrelated species due to common antigen sharing. e.g. Weil Felix test, Monospot test.